Which structure DOESN'T pass through the gap between superior and middle constrictor muscle of pharynx
1. Glossopharyngeal nerve
2. Stylopharyngeus muscle
3. Internal laryngeal nerve
4. Both stylopharyngeus and Glossopharyngeal nerve

Correct answer: 3. Internal laryngeal nerve

Explanation: - Structures passing b/w superior & middle constrictor Glossopharyngeal Nerve (Nerve of 3rd arch) Stylopharyngeus Muscle ( muscle of 3rd arch )